All of the following are Antigen Presenting Cells (APC), except:
1. Langerhan's cell
2. Dendritic cells
3. T-cells
4. B-cells

Correct answer: 3. T-cells

Explanation: Antigen presenting cells include Macrophages, Dendritic cells in lymphoid tissue, Langerhans cells in the skin, Kupffer cells in the liver, Microglia cells in the nervous system and B lymphocytes. Ref: Current Occupational and Environmental Medicine, 3rd Edition, Page 193; Tumor Immunology By Parmiani and Lotze, 2002, Page 48; Biotherapy: A Comprehensive Overview By Rieger, 2nd Edition, Page 48